Heterophile antibody test is done for:
1. Rickettsial infections
2. Infectious mononucleosis
3. Smallpox
4. Japanese encephalitis

Correct answer: 2. Infectious mononucleosis

Explanation: Ans. B: Infectious mononucleosis A heterophile agglutination is a test that measures the agglutination of the red blood cells of sheep by the serum of patients with infectious mononucleosis. Diagnostic tests are used to confirm infectious mononucleosis but the disease should be suspected from symptoms prior to the results from hematology. These criteria are specific; however, they are not particularly sensitive and are more useful for research than for clinical use. Only half the patients presenting with the symptoms held by mononucleosis and a positive heterophile antibody test (monospot test) meet the entire criteria. One key procedure is to differentiate between infectious mononucleosis and mononucleosis-like symptoms